26 year old female on progestin only pill contraceptive attends gynaecology OPD about not taking pill at same time everyday. She had been taken pill everyday at 10 a.m except for a day before, at 5p.m what is your advise?
1. No need to worry, continue same contraceptive
2. Use additional form of contraceptive for next 48 hours
3. Change over to combined oral contraceptive pills
4. Take double dose of pill next morning

Correct answer: 2. Use additional form of contraceptive for next 48 hours

Explanation: If POP is taken even 4 hours late, an additional form of contraception must be used for next 48 hours.